As per CEAP classification varicose veins come under which clinical grade
1. 0
2. 1
3. 2
4. 3

Correct answer: 3. 2

Explanation: Varicose veins come under clinical grade 2 as per CEAP classification.